What is Osiander's sign?
1. Pulsation in the lateral vaginal fornix
2. Bluish colour change in the vagina
3. Softening of the cervix
4. On bimanual palpation the fingers can be approximated as if nothing is in between

Correct answer: 1. Pulsation in the lateral vaginal fornix

Explanation: Ans: A (Pulsation in the lateral vaginal fornix) Ref: DC Dutta's Textbook of Obstetrics, 7th ednExplanation:Osiander's sign: Increased pulsation felt through the lateral fornices. Felt at 8th week.Jacquemier's or Chadwick's sign: Dusky hue at the vestibule and the anterior vaginal wall. Visible at 8th week.Goodetl's sign: Cervix becomes soft. Fell at 6th week.Piskacek's sign: Asymmetrical enlargement of the uteni's if there is lateral implantation of the placenta. Fell at 12 weeks.Hegar's sign: Variation in consistency of the uterus at 12 weeks.Palmer's sign: Regular and rhythmic contractions of uterus demonstrated during bimanual examination at 4-8 weeks.